Primary prevention does not include -
1. Early diagnosis and treatment
2. Health promotion
3. Specific protection
4. Health education

Correct answer: 1. Early diagnosis and treatment

Explanation: Early diagnosis and treatment is secondary level of prevention.